Name the muscle forming pelvic diaphragm?
1. Deep transverse perinei
2. Sphincter urethrae
3. Levator ani
4. None od the above

Correct answer: 3. Levator ani

Explanation: Ans. is 'c' i.e., Levator aniThe muscles given in question are of pelvic diaphragm and urogenital diaphragm.Pelvic diaphragm The pelvic floor is formed by 'pelvic diaphragm' which consists of levator ani and coccygeus. The pelvic diaphragm separates the perineum below from pelvis above.Pelvic diaphragm is traversed by urethra, anal canal and in females vagina.Urogenital diaphragm It is a musculo-fascial partition across the pubic arch and separates the pelvic cavity from anterior part of pelvic outlet.It consists of two muscles (sphincter urethrae and deep transverse perinei, also called transversus pernei profundus), and two fasciae (Inferior fascia of urogenital diaphragm, also called perineal membrane and superior fascia of urogenital diphragm).Both muscules of urogenital diaphragm are supplied by muscular branches of perineal nerve, a branch of pudendal nerve.Structures piercing the urogenital diaphragm are urethra and in female vagina (behind urethra).